All of these form right heart border EXCEPT?
1. SVC
2. IVC
3. Right atrium
4. Right ventricle

Correct answer: 4. Right ventricle

Explanation: Ans. D Right ventricleRef: BDC, 6th ed. vol. I pg. 253; Keith L. Moore 5th ed. pg 147BORDERS OF HEART* Right border (slightly convex): Formed by the right atrium, SVC and the IVC.* Left border (nearly horizontal): Formed by the left ventricle and slightly by the left auricle.* Inferior border (oblique, nearly vertical), formed mainly by the right ventricle and slightly by the left ventricle.* Superior border: Formed by the right and left atria and auricles in an anterior view.